All of the following statements about leprosy are true except -
1. Multibacillary leprosy is diagnosed when there are more than 5 skin patches
2. New case detection rate is an indicator for incidence of leprosy
3. A defaulter is defined as a patient who has not taken treatment for 6 months or more
4. The target for elimination of leprosy is to reduce the prevalence to less than 1 per 10,000 population

Correct answer: 3. A defaulter is defined as a patient who has not taken treatment for 6 months or more

Explanation: A defaulter is a leprosy patient on MDT , who has not collected treatment for 12 consecutive months Reference; Park's Textbook of preventive and social medicine, 24th edition.Pg no. 340